Vaginal Ph in women of the reproductive age group is within which of the following range?
1. 4-4.5
2. 7-Jun
3. 8-Jul
4. 3-Jan

Correct answer: 1. 4-4.5

Explanation: The healthy vagina of a woman of child-bearing age is acidic, with a pH normally ranging between 3.8 and 4.5. This is due to the degradation of glycogen to the lactic acid by enzymes secreted by the Doderlein's bacillus. This is a normal commensal of the vagina. The acidity retards the growth of many strains of dangerous microbes.